Pale waxy umbilicated swelling on the lid is
1. Chalazion
2. Molluscum contagiosum
3. External hordeolum
4. Internal hordeolum

Correct answer: 2. Molluscum contagiosum

Explanation: Eyelid disorders Inflammatory disorders of eyelidsClinical pictureTreatmentBlepharitisSubacute or chronic inflammation of lid margins due to Corynebacterium, Staphylococcus aureus, Demodexfolliculorum&PhthiriasisPalpebraCrusts should be removed, Antibiotic ointment at least twice daily ( Erythromycin or tetracycline ), Oral anti-inflammatory drugs, removal of nits with forceps External hordeolum (Stye)Acute suppurative inflammation of the gland of Zeiss or MollStage of cellulitis - Stage of abscessHot compresses 2 - 3 times a day, the Surgical incision for large abscess, Antibiotic drops, anti-inflammatory and analgesics Chalazion Chronic noninfective granulomatous inflammation of meibomian gland - retention secretions which are fatty in nature Intralesional triamcinolone, Incision, and curettage, Diathermy Internal hordeolum ( Infected chalazion )Suppurative inflammation of meibomian gland associated with blockage of the duct Drained by vertical incision from the tarsal conjunctiva Molluscum contagiosumMultiple, pale, waxy, umbilicated swellings scattered over the skin near lid margin Incised and interior cautery with tincture of iodine or pure carbolic acid (Refer: AH Khurana, Comprehensive Textbook of Ophthalmology,5thedition,pg no: 366-369)